Which type of Human papilloma virus is most commonly associated with Cervical cancer ?
1. HPV 16
2. HPV 24
3. HPV 32
4. HPV 36

Correct answer: 1. HPV 16

Explanation: Genital HPV infection is extremely common and most often cause no symptoms. A proportion of individuals infected with low-risk HPV types such as HPV-6 or HPV-11 will develop genital warts, whereas a subset of women with high-risk HPVs such as HPV-16 or HPV-18 will develop preneoplastic lesions of cervical intraepithelial neoplasia (CIN). Low-grade cervical dysplasias are common and most regress spontaneously. In contrast, the minority of lesions that progress to high-grade dysplasias tend to persist and/or progress to carcinomas in situ before becoming invasive cancers. The majority of adenocarcinomas of the cervix and of squamous cell cancers (SCC) of the vulva, vagina, penis and anus are caused by HPV-16 and HPV-18 (together accounting for about 70% of cases globally), the remaining 30% being due to other high-risk HPV types (such as HPV-31, -33, -35, -39, -45,-51, -66). HPV is also associated with other cancers of the anus, head and neck, and rarely, recurrent respiratory papillomatosis in children.